The stapes is embryologically derived from the following pharyngeal arch ?
1. 1st arch
2. 2nd arch
3. 3rd arch
4. 4th arch

Correct answer: 2. 2nd arch

Explanation: The second pharyngeal arch gives rise to Reichert cartilage, which eventually forms:Manubrium of the malleusLong process of the incusStapes suprastructureTympanic portion of the stapes footplateThe vestibular portion of the stapes footplate derives from the otic capsule. Other structures which derived from the second pharyngeal arch mesoderm are:Facial nerveMuscles of facial expressionStapedius muscleThe upper portion of the hyoid boneStylohyoid ligament Ref: Brown K.D., Selesnick S.H. (2012). Chapter 48. Congenital Disorders of the Middle Ear. In A.K. Lalwani (Ed), CURRENT Diagnosis & Treatment in Otolaryngology--Head & Neck Surgery, 3e.